Antimalarial month is –
1. April
2. May
3. September
4. June

Correct answer: 4. June

Explanation: Antimalarial month is observed every year in month of June throughout the country, prior to the onset of mansoon and transmission season, to enhance the level of awareness and encourage community participation.